All of the following could include the mechanism or function of oxigenases, EXCEPT:
1. Incorporate 2 atoms of oxygen
2. Incorporate 1 atom of oxygen
3. Required for hydroxylation of steroids
4. Required for carboxylation of drugs

Correct answer: 4. Required for carboxylation of drugs

Explanation: Carboxylation is a function of carboxylase enzymes which belong to the class of 'Ligases'. It is not a function of oxygenase enzymes. Monoxygenases incorporate one atom of oxygen and play an important role in hydroxylation of steroids. Dioxygenases incorporate 2 atoms of oxygen into the substrate. Ref: Harper's Illustrated Biochemistry 27th Edition, Page 96, 97; Enzyme Assays: High-Throughput Screening, Genetic Selection and Fingerprinting edited by Jean-Louis Reymond, 2006, Page 85.